Which of the following condition is associated with a Carhart's notch in an audiogram?
1. Otospongiosis
2. CSOM
3. Meniere's disease
4. Acoustic neuroma

Correct answer: 1. Otospongiosis

Explanation: Carhart's notch is seen in otosclerosis. The otosclerotic focus is defined by an area of increased bone turnover and metabolic activity and the term "otospongiosis" is most descriptive of the histologic appearance at this stage of the disease. Bone conduction curve shows maximum loss at 2000 Hz.